Cause of post operative hypertension
1. Pre-operative hypertension
2. Inadequate analgesia
3. Phaeochromocytoma
4. All

Correct answer: 4. All

Explanation: All i.e. A, B, C